ATP's formed in anaerobic glycolysis of glucose are:
1. 2
2. 8
3. 10
4. 15

Correct answer: 1. 2

Explanation: ATP's formed in anaerobic glycolysis are 2: NADH is used by Lactate Dehydrogenase under anaerobic conditions (Step 11). So 5 ATPs which are derived from NADH in Aerobic condition, are not obtained in Anaerobic conditions. So energetics is : 2 Substrate Level Phosphorylations - + 4 ATPs Hexokinase and PFK-1 uses ATPs - - 2 ATPs Total 4-2 - 2 ATPs So, only 2 ATPs are obtained in case of Anaerobic Glycolysis ADDITIONAL EDGE: ATP's formed in aerobic glycolysis are 7. Energetics of Aerobic Glycolysis: 2 NADH + 5 ATPs (from ETC) 2 Substrate level Phosphorylations - + 4 ATPs Hexokinase and PFK-1 uses ATPs - - 2 ATPs Total - 9-2 = 7 ATPs So, 7 ATPs are obtained in case of Aerobic Glycolysis.